Cremasteric muscle is supplied by
1. Ilioinguinal nerve
2. Genital branch of genitofemoral
3. Femoral nerve
4. Obturator nerve

Correct answer: 2. Genital branch of genitofemoral

Explanation: CREMASTER MUSCLE:-Consists of muscle fasciculi embedded in cremasteric fascia. The fasciculi forms superficial loops from middle one-third of upper surface of inguinal ligament and deep loops from pubic tubercle, pubic crest and conjoint tendon. Fully developed in males.In females only few fibres.Muscle along with the intervening connective tissue forms a sac-like cremasteric fascia around spermatic cord and testis. Nerve supply:- genital branch of genitofemoral nerve. Action: suspend the testis and elevate it.Cremasteric reflex:-Stroking the upper part of the medial side of the thigh there is reflex contraction of the cremaster muscle, as is evidenced by elevation and retraction of the testis. In UMN lesions above segment L1 reflex is lost. {Reference: BDC 6E vol2 pg 206}